Which of the following is not an ecto-mesenchymal derivative?
1. Dentin
2. Cementum
3. Pulp
4. Enamel

Correct answer: 4. Enamel